Mechanism of action of exenatide in diabetes mellitus is
1. It is analogue of GLP released from gut and increase glucose dependant insulin secretion
2. It is DPP-4 inhibitor and result in decreased breakdown of GLP
3. It inhibits SGLT-2 and cause glucosuria
4. It is amylin analogue and decrease glucagon

Correct answer: 1. It is analogue of GLP released from gut and increase glucose dependant insulin secretion

Explanation: Exenatide is a Glucagon like peptide analogue which is approved as an injectable, adjunctive therapy in persons with type 2 DM Saxagliptin -> DPP4 inhibitor which inhibit the metabolism of GLP-1, therefore increase insulin. Canagliflozin, Dapagliflozin, Empagliflozin, Eugliflozin etc. Drugs-inhibit SGLT-2 -Inhibit glucose reabsorption, -result in glucosuria Pramlintide - amylin analogue - Given subcutaneously